The most common second malignant in survivors of retinoblastoma is -
1. Thyroid cancer
2. Nasopharyngeal carcinoma
3. Optic glioma
4. Osteosarcoma

Correct answer: 4. Osteosarcoma

Explanation: Childrens with germ line retinoblastoma are more likely to have Osteosarcoma in lowerlimbs Ref : ak khurana 6th edition